The term physical half life is applicable to
1. Respiratory preparation
2. Prodrugs
3. Radioactive isotopes
4. Alkylating agents

Correct answer: 3. Radioactive isotopes

Explanation: Physical half-life is defined as the period of time required to reduce the radioactivity level of a source to exactly one half its original value due solely to radioactive decay. The physical half-life is designated tphys or more commonly t1/2 . Refer 6/e p252